The best indicator of the nutritional status of a child is
1. Mid arm circumference
2. Rate of increase in height and weight
3. Head circumference
4. Chest circumference

Correct answer: 2. Rate of increase in height and weight

Explanation: The best indicator of the nutritional status of a child is the rate of increase in height & weight. Rest of them are age independent indices.